Drug of choice for the treatment of Kawasaki disease is
1. Aspirin
2. Low molecular weight Heparin
3. Steroids
4. lintravenous Immunoglobulin

Correct answer: 4. lintravenous Immunoglobulin

Explanation: Drug of choice for the treatment of Kawasaki disease is lintravenous Immunoglobulin.
Asprin is also used as anti-inflammatory drug.